Facial muscles are derived from
1. 1st branchial arch
2. 2nd branchial arch
3. 3rd branchial arch
4. 4th branchial arch

Correct answer: 2. 2nd branchial arch